Apnoea in infants is-
1. >10 sec
2. >20 sec
3. >30sec
4. >40sec

Correct answer: 2. >20 sec

Explanation: Ans. is 'b' i.e., > 20 sec